Which carpal bone has a hook?
1. Capitate
2. Lunate
3. Hamate
4. Pisiformis

Correct answer: 3. Hamate

Explanation: Ans. C HamateRef: Kulkarni Clinical Anatomy, 2nd ed. pg. 80The largest carpal bone is capitate and the carpal bone with Hook is Hamate.Extra edge* Proximal row of carpals (Lateral to Medial): Scaphid, Lunate, Triquetral and Pisiform* Distal row of carpals: Trapezium, Trapezoid, Capitate and Hamate Pisiform bone is a sesamoid bone lying in the tendon of flexor carpi uinaris.* Mnemonics to remember carpal bones "She Looks Too Pretty; Try To Catch Her"